A 54-year-old man sustains third degree burns in a house fire. His respiratory rate is 30/min, Hb = 17 g/dL, arterial PO2 is 95 mm Hg, and arterial O2 saturation is 50%. The most likely cause of his low oxygen saturation is:
1. Airway obstruction from smoke inhalation
2. Carbon monoxide poisoning
3. Pulmonary edema
4. Fever

Correct answer: 2. Carbon monoxide poisoning

Explanation: Ans. B. Carbon monoxide poisoningCarbon monoxide will lower oxygen content and saturation, but the arterial PO2 is unchanged. Airway obstruction or pulmonary edema will lower O2 saturation and arterial PO2 .